All are TRUE about Enteroheomarrhagic E Coli(EHEC), EXCEPT:
1. Sereny test is positive
2. Bloody diarrhea and HUS linked to O157:H7
3. Causes HUS
4. Elaborates shiga like toxin

Correct answer: 1. Sereny test is positive

Explanation: Sereny test is positive in enteroinvasive E Coli. On instillation to eyes of guinea pigs, EIEC cause keratoconjunctivitis. This is used as diagnostic test for EIEC. EHEC/verocytotoxin producing E Coli cause hemorrhagic colitis and haemolytic uraemic syndrome. Common in infants and young children and produce verotoxin / Shiga like toxin. Primary target for VT is vascular endothelial cells. Typical EHEC strain is stereotype 0157:H7. Also Know: After an average incubation period of 3-5 days, the illness often begins with watery diarrhea for 2-5 days, progressing to bloody diarrhea in up to 90% of patients. The diagnosis can often be suspected from the clinical presentation (bloody stools, abdominal pain, leukocytosis, but little or no fever) and is confirmed by stool cultures using sorbitol-MacConkey agar. An ELISA that detects Shiga toxins in the stool is also available, but occasional false-positive results have been reported. Hemolytic uremic syndrome, thrombotic thrombocytopenic purpura, and microangiopathic anemia are the dreaded complications of EHEC infection and occur most often in children younger than 10 years, although older children and adults are not always spared. Ref: Trier J.S. (2012). Chapter 5. Acute Diarrheal Disorders. In N.J. Greenberger, R.S. Blumberg, R. Burakoff (Eds), CURRENT Diagnosis & Treatment: Gastroenterology, Hepatology, & Endoscopy, 2e.